Post-menopausal, hormone that shows an increase is?
1. Progesterone
2. Estrogen
3. FSH
4. Androgens

Correct answer: 3. FSH

Explanation: FSH REF: Novak's gynecology 12th ed p. 450-452 Estrogens , progesterone and total androgen production is decreased after menopause , however FSH increases due to negative feedback of estrogen over FSH production by pituitary.